HCL secretion is stimulated by:
1. Secretin
2. Somatostatin
3. Histamine
4. All

Correct answer: 3. Histamine

Explanation: C i.e. Histamine